Following is true about the benefits of hormone replacement therapy except -
1. 40 - 50% improvement in vasomotor symptoms
2. Improvement in urogenital atrophy
3. Increase in bone mineral density (2-5%)
4. Reduction in colorectal cancer (20%)

Correct answer: 1. 40 - 50% improvement in vasomotor symptoms

Explanation: Airs. is 'a' i.e., 40 - 50% improvement in vasomotor symptoms Benefits of hormone replacement therapy (HRT)o improvement of vasomotor symptoms (70-80%)o Imporvement urogenital atrophyo increase in bone mineral density (2-5%)o Decreased risk in vertebral and hip fractures (25-50%)o Reduction in colorectal cancer (20%)o Possibly cardioprotection